A patient presents with trismus which of the following technique will block mylohyoid nerve, incisive, and long buccal nerve
1. Akinosis technique
2. Gowgates technique
3. V block technique
4. Conventional inferior alveolar nerve block

Correct answer: 1. Akinosis technique